In Caldwell- Luc operation the nasoantral window is made through-
1. Superior meatus
2. Inferior meatus
3. Middle meatus
4. None of the above

Correct answer: 2. Inferior meatus

Explanation: Caldwell-Luc operation is a process of opening the maxillary antrum through canine fossa by sublabial approach and dealing with the pathology inside the antrum.
In this surgery, antrum is reached through an incision in gingivolabial sulcus (from lateral incisor to 2nd molar) and then opening of antrum in this area.
During the surgery a nose-antral window is made through the inferior meatus so that after the surgery, packing of sinus can be removed through this window.